The teeth present in the oral cavity of a newborn are called:
1. Ghost teeth
2. Infantile teeth
3. Camel pearls
4. Natal teeth

Correct answer: 4. Natal teeth

Explanation: Sometimes, an infant may be born with teeth which are precociously erupted. If these teeth emerge before the first three months of life, they are classified as premature teeth. 
Those that are present at birth, are called natal teeth, those that erupt during the neonatal period, from birth to 30 days are designated neonatal teeth. Almost 90% of these precociously erupted teeth are primary teeth of which 85% are mandibular incisors and 10% are supernumerary calcified structures frequently, referred to as predeciduous teeth. Natal teeth appear more frequently than neonatal teeth.
Reference: Pediatric Dentistry SECOND EDITION, Shobha Tandon; page no 107